A patient with vestibular schwannoma is best investigated by which of the following:
1. SPECT
2. Contrast enhanced CT scan
3. Gadolinum enhanced MRI
4. PET scan

Correct answer: 3. Gadolinum enhanced MRI

Explanation: Vestibular schwannoma usually arises in VIII cranial nerve of posterior cranial fossa. CT scan will not give clear picture of posterior cranial fossa tumour < 2cm. MRI scan is the investigation of choice in patient with posterior cranial fossa tumour. Ref: Philippe Demaerel, (2001), Chapter 18, "Imaging of Intracranial Abnormalities in Neurofibramatosis type 1 & 2", In the book, "Recent Advances in Diagnostic Neuroradiology", Springer Publications, USA, Page 283